Poverty line is defined as expenditure required for daily calorie consumption below
1. 1800
2. 2100
3. 2000
4. 2200

Correct answer: 2. 2100